Insulin-dependent glucose transport is through
1. GLUT 2
2. GLUT 3
3. GLUT 4
4. GLUT 1

Correct answer: 3. GLUT 4

Explanation: Glucose transporters are a wide group of membrane proteins that facilitate the transport of glucose over a plasma membrane. Because glucose is a vital source of energy for all life these transporters are present in almost cells.GLUT4Found in adipose tissues and striated muscle (skeletal muscle and cardiac muscle). GLUT 4 Is the insulin-regulated glucose transporter. Responsible for insulin-regulated glucose storage. Ref: Ganong's review of medical physiology;24th edition; page no-434